Mallory hyaline bodies are seen all except
1. Indian childhood cirrhosis
2. Wilson's disease
3. Alcoholic hepatitis
4. Crigler_ najjar syndrome

Correct answer: 4. Crigler_ najjar syndrome

Explanation: Ref Robbins 7/e p905 Crigler Najjar Syndrome Type IB Defect is limited largely to bilirubin ... swelling often with Mallory-Denk bodies (periportal predominance) Also seen in steatohepatitis Crigler-Najjar syndrome is a rare hereditary disease found in children in which a substance processed by the liver, called bilirubin, cannot be changed into its water-soluble form (conjugated bilirubin). The unconjugated bilirubin collects in the child's and , enters circulation, and then builds up in other tissues such as the eyes and skin. This buildup causes jaundice and eventually nerve and brain damage.